All are true regarding endometriosis, except
1. Hormone dependent condition
2. Can involve lung, pleura
3. Contains clear fluid
4. Ovary is the most common site

Correct answer: 3. Contains clear fluid

Explanation: Ans. is c, i.e. Contains clear fluidRef: Shaw 15th/ed, p466 for option a, 466-7for option c; Jeffcoate 7th/ed, p370 for option 'd'; p372 for option 'b'Endometriosis is occurrence of functioning endometrial tissue (glands + stroma) outside the uterine cavity.Whatever the initial genesis of endometriosis its further development depends mainly on estrogen (Option "a"). - Ref: Shaw 14th/ed, p420* It can occur anywhere in body, Most common site being ovaryQ (Option "d"). - Ref: Jeffcoate 7th/ed, p370* Can also involve lungs and pleuraQ (Option "b"). - Ref: Jeffcoate 7th/ed, p372* In endometriosis ovary contains tarry dark brown fluid (due to presence of blood pigments like hemosiderin) and cul de sac has yellow brown fluid.Clear fluid is not seen anywhere, So, Option "c" is incorrect.